Bleeding disorder with ↑ a PTT is/are -a) Hemophilia Ab) Hemophilia Bc) Henoch-schonlein purpurad) Bernard-soulier syndromee) Von-Willebrand disease
1. abe
2. bcd
3. cde
4. acd

Correct answer: 1. abe